Treatment of choice for angiofibroma -
1. Surgery
2. Radiotherapy
3. Both
4. Chemotherapy

Correct answer: 1. Surgery

Explanation: "In nearly every other circumstance, however, surgery is the treatment of choice".
—Logan Turner